True about lucid interval is?
1. Seen in extradural hemorrhage
2. Valid will can be made
3. Can give evidence
4. All of the above

Correct answer: 4. All of the above

Explanation: Ans is 'd' i.e. All of the aboveLucid interval* Lucid interval is a state of consciousness between two episodes of unconsciousness in subacute/chronic epidural haemorrhage. It is significant that during this period (lucid interval), the person can:i) Make a valid will,ii) Can give valid evidence, andiii) Is legally responsible for act done (civil/criminal).* Lucid interval is also seen in insanity, i.e. the period of sanity between two phases of insanity.* Lucid intervals may also occur in conditions other than traumatic brain injury, such as heat stroke, mania, melancholia and the postictal phase after a seizure in epileptic patients.